A patient with a deep stab wound in the middle of the forearm has impaired movement of the thumb. Examination indicates a lesion of the anterior interosseous nerve. Which of the following muscles is paralyzed?
1. Flexor pollicis longus and brevis
2. Flexor pollicis longus and opponens pollicis
3. Flexor digitorum profundus and pronator quadratus
4. Flexor digitorum profundus and superficialis

Correct answer: 3. Flexor digitorum profundus and pronator quadratus

Explanation: The anterior interosseous nerve is a deep branch of the median nerve and supplies deep muscles of anterior forearm- flexor pollicis longus lateral half of the flexor digitorum profundus pronator quadratus. The median nerve supplies the pronator teres flexor digitorum superficialis palmaris longus flexor carpi radialis muscles. muscular branch (the recurrent branch) of the median nerve innervates the thenar muscles